Which one of the following antibacterials should not be used with d-tubocurarine?
1. Norfloxacin
2. Streptomycin
3. Doxycycline
4. Cefotaxime

Correct answer: 2. Streptomycin